Which of the following is NOT a MAO inhibitor?
1. Tranylcypromine
2. Isocarboxazide
3. Phenelzine
4. Maprotiline

Correct answer: 4. Maprotiline

Explanation: Maprotiline is not an MAO inhibitor whereas the rest three are. Ref: KD Tripathi 8th ed.